Which of the following jaw cyst is pre-malignant?
1. Nasopalatine cyst
2. Radicular cyst
3. Odontogenic keratocyst
4. Dentigerous cyst

Correct answer: 3. Odontogenic keratocyst

Explanation: Ans. c. Odontogenic keratocyst (Ref: Scott-Brown's Otorhinolaryngology 7/e p1924, 1925)Odontogenic keratocyst is premalignant."Odontogenic keratocysts are characterized by an epithelial lining that is parakeratinized and stratified. It is characterized by basal lender of neatly arranged, palisaded, columnar and cuboidal cells above which are several layers of squamous epithelium. This lining has a high mitotic rate and rarely may become dysplastic and develop into squamous cell carcinomaQ."- Scott-Brown's Otorhinolaryngology 7/e p1924Nasopalatine duct cyst:Relatively common non-odontogenic, developmental cystArises from embryonic remnants of the nasopalatine ductOccurs in palatal midline behind the maxillary central incisors in the region of incisive canalUsually asymptomatic; may be associated with salty dischargeSurgical enucleation via palatal flap is treatment of choiceRadicular cyst (Periapical cyst):Most common type of jaw cystDevelops at the apex of an infected, nonvital toothBimodal incidence within the 3rd and 6th decadeRarely seen in primary dentitionUsually presents as radioluscent lesion around the apex of a tooth rootLined by proliferative epithelium of the non-keratinizing type with an intense inflammatory infiltrateNormally resolve spontaneously if the infection in the associated tooth is controlled by root canal therapyFor persisting and larger lesion: EnucleationDentigerous Cyst:2nd Most common type of jaw cystArises from unerupted teethQMC in lower 3rd molarsCyst also contain unerupted teethQX-ray shows: Unilocular cyst or soap bubble appearanceQTreatment of choice: EnucleationOdontogenic KeratocystOdontogenic keratocyst is locally aggressive and has a high rate of recurrenceQ.Most often diagnosed in patients between 10-40 years.Occur most commonly in males within the posterior mandible, particularly in the region of 3rd molar toothQ.Radiographically present as well-defined unilocular or multilocular radiolucencies.Odontogenic keratocysts are characterized by an epithelial lining that is parakeratinized and stratified.It is characterized by basal layer of neatly arranged, palisaded, columnar and cuboidal cells above which are several layers of squamous epithelium. This lining has a high mitotic rate and rarely may become dysplastic and develop into squamous cell carcinomaQ.Treatment:Aggressive and complete removal of the lesionRecurrence rates for inadequately removed lesions can reach 60%Q.